All of the following drugs are used for treatment of hyperkalaemia, EXCEPT:
1. Calcium gluconate
2. Sodium bicarbonate
3. Intravenous infusion of glucose with insulin
4. Beta blockers

Correct answer: 4. Beta blockers

Explanation: Beta agonists are used for shifting potassium into the cells in patients with hyperkalemia with ECG changes. Drugs used to treat hyperkalemia in patients with ECG changes are: Intravenous calcium gluconate (stabilize cardiac membrane) IV insulin, beta 2 agonists, IV NaHCO3 (shift potassium into cells) Methods of potassium removal are: Dialysis Diuretics Cation exchange resins In patients with hyperkalemia without ECG changes: Remove offending agents Use dialysis, diuretics and/or cation exchange resins Ref; Civetta, Taylor, & Kirby's Critical Care edited by Andrea Gabrielli, page 622.